In the grading of trachoma, trachomatous inflammation–follicular is defined as the presence of –
1. 5 or more follicles in the lower tarsal conunctiva
2. 3 or more follicles in the lower tarsal conjunctiva
3. 5 or more follicles in the upper tarsal conjunctiva
4. 3 or more follicles in the upper tarsal conjunctiva

Correct answer: 3. 5 or more follicles in the upper tarsal conjunctiva

Explanation: Under WHO classification, trachocomatous inflammation follicular is defined as at least 5 or more follicles of at least 0.5 mm diameter on upper tarsal conjunctiva (for details see the table of WHO classification in the text of this chapter).